A known case of pulmonary TB presented to emergency room with difficulty in breathing. Chest x ray was carried out with following finding. Which of the following structures is not pierced in order to do a diagnostic tap from the marked structure?
1. Serratus anterior
2. External intercostal muscle
3. Visceral pleura
4. Endothoracic fascia

Correct answer: 3. Visceral pleura

Explanation: Chest x ray revealed pleural effusion in left lung field in background of reticulonodular shadows s/o PTB. Layers pierced in plueral tap. Skin Superficial fascia Serratus anterior 3 intercostal muscles Endothoracic fascia Parietal pleura.